What is the nearest relation of the optic nerve
1. Pituitary Stalk
2. Internal Carotid Artery
3. Anterior Choroidal Artery
4. Anterior Communicating Artery

Correct answer: 2. Internal Carotid Artery

Explanation: B. i.e. Internal corotid artery